Head engaged and reached the pelvic floor. The treatment indicated in this obstetric situation is :
1. Outlet forceps
2. High forceps
3. Mid forceps
4. Low forceps

Correct answer: 1. Outlet forceps

Explanation: Outlet forceps